Sensory of angle of jaw is through:
1. Great auricular nerve
2. Posterior auricular nerve
3. Auriculotemporal nerve
4. Lesser petrosal nerve

Correct answer: 1. Great auricular nerve

Explanation: Ans. A. Great auricular nerveThe ophthalmic nerve (V1 ) carries sensory information from the scalp and forehead, the upper eyelid, the conjunctiva and cornea of the eye, the nose (including the tip of the nose, except alae nasi), the nasal mucosa, the frontal sinuses and parts of the meninges (the dura and blood vessels). The maxillary nerve (V2 ) carries sensory information from the lower eyelid and cheek, the nares and upper lip, the upper teeth and gums, the nasal mucosa, the palate and roof of the pharynx, the maxillary, ethmoid and sphenoid sinuses and parts of the meninges. The mandibular nerve (V3 ) carries sensory information from the lower lip, the lower teeth and gums, the chin and jaw (except the angle of the jaw, which is supplied by great auricular nerve),